Which of the following artery supplies parathyroid glands?
1. Superior thyroid artery
2. Inferior thyroid artery
3. Common carotid artery
4. Middle thyroid artery

Correct answer: 2. Inferior thyroid artery

Explanation: Ans. B Inferior thyroid arteryRef: Gray's, 41sted. pg. 472* Both upper & lower parathyroid glands are supplied by the inferior thyroid arteryVascular Supply and Lymphatic Drainage of Parathyroid Gland* Inferior thyroid arteries provide primary blood supply to posterior aspect of thyroid gland and parathyroid glands (which are situated there in posterior aspect of thyroid gland).* Parathyroid veins drain into thyroid plexus of veins of thyroid gland & trachea.* Lymphatics drain with those of thyroid into deep cervical R lymph nodes & paratracheal lymph nodes.Innervations and Functions* Since the gland is hormonally regulated, the nerve supply is sympathetic vasomotor, vaso constrictor and not secreto motor.* Parathyroid activities regulated by variations in blood calcium level: It is inhibited by a rise in calcium levels and stimulated by a fall in calcium level.Extra Mile* The superior parathyroid glands usually lie at the level of inferior border of cricoids cartilage.* The inferior glands are usually within thyroid fascia 1 cm below the inferior thyroid arteries behind the lower poles.* Color of thyroid gland: deep red color* Color of parathyroid gland: Brownish yellow color